The epidermal turn over time is
1. 14 days
2. 28 days
3. 40 days
4. None of the above

Correct answer: 2. 28 days

Explanation: Epidermal turn over time or skin doubling time includes:- Transit time from basal layer to stratum corneum = 14 days; transit through the stratum corneum/desquamation = 14 days (total = 28 days from basal layer to desquamation. Ref:- Review of Dermatology by Alikhan; pg num:-2